Abatacept, a new drug inhibiting co-stimulation is used for the treatment of:
1. Scleroderma
2. Sjogren syndrome
3. Rheumatoid arthritis
4. Systemic lupus erythematosus

Correct answer: 3. Rheumatoid arthritis

Explanation: Ans. c. Rheumatoid arthritis (Ref: Harrison 19/e p2147, 18/e p2748: Katzung 12/e p643, 993)Abatacept, a new drug inhibiting co-stimulation is used for the treatment of Rheumatoid arthritis.'Abatacept is a soluble fusion protein consisting of the extracellular domain of human cytotoxic T lymphocyte- associated antigen 4 (CTLA-4) linked to the modified portion of human IgG. It inhibits the co-stimulation of T cells by blocking CD28-CD80/86 interactions and may also inhibit the function of antigen-presenting cells by reverse signaling through CD80 and CD86. Abatacept has been shown in clinical trials to reduce disease activity, slow radiographic progression of damage, and improve functional disability. Most patients receive abatacept in combination with methotrexate or another DMARD such as leftunomide. Its onset of action is usually slower than that of the anti- TNF agents. Abatacept therapy has been associated with an increased risk of infection but is usually well tolerated otherwise. Harrison 18/e p2748AbataceptAbatacept is a soluble fusion protein consisting of the extracellular domain of human cytotoxic T lymphocyte- associated antigen 4 (CTLA-4) linked to the modified portion of human IgGQ.Mechanism of Action:Inhibits the co-stimulation of T cells by blocking CD28-CD80/86 interactionsQAlso Inhibit the function of antigen-presenting cells by reverse signalingQ through CD80 and CD86.Onset of action is usually slower than that of the anti-TNF agents.Indications:Abatacept has been shown in clinical trials to reduce disease activity, slow radiographic progression of damage, and improve functional disability in rheumatoid arthritisQ.Most patients receive abatacept in combination with methotrexate or another DMARD such as leflunomideAdverse-effects:Associated with an increased risk of infectionQ